A child of phenyl ketonuric mother may develop ?
1. Microcephaly, intellectual disability, congenital heart disease
2. Intellectual disability, cataract, congenital heart disease
3. Hydrocephalus, cataract
4. Microcephaly, cataract, renal dysplasia

Correct answer: 1. Microcephaly, intellectual disability, congenital heart disease

Explanation: Ans. is 'a' i.e., Microcephaly, intellectual disability congenital heart disease Children born to phenyl ketonuria mothers have following features (Note : mother is phenyleketonuric not child) o Intellectual disability o Growth retardation o Microcephaly o Congenital heart disease